The WRONG statement of sumatriptan is that it -
1. Is a selective 5- HT ID/IB receptor agonist
2. Is safe for use in patients with epilepsy
3. Suppresses neurogenic inflammation of cranial blood vessels
4. Is useful in the treatment of an acute attack of migraine

Correct answer: 2. Is safe for use in patients with epilepsy

Explanation: Ans. is 'b' i.e., Is safe for use in patients with epilepsy o Contraindications of sumatriptan are ischaemic heart disease, hypertension, epilepsy, hepatic or renal impairment and during pregnancy.